Which is true of torphozoites of E. histolytica?
1. Has eccentric karyosome
2. Nuclear membrane without chromatin
3. Shows erythrophagocytosis
4. Presence of bacteria inside cell

Correct answer: 3. Shows erythrophagocytosis

Explanation: Ans. c. Shows